All the following are causes of Acute Pancreatitis except
1. Gall stones
2. Hemochromatosis
3. Hypercalcemia
4. Alcoholism

Correct answer: 2. Hemochromatosis

Explanation: Answer is B (Hemochromatosis) Gall stones, Alcohol ingestions' and Hypercalcemia (e.g. Hyperparathyroidism) have all been mentioned as causes of Acute Pancreatitis. Hemochromatosis has not been includedQ as a cause in this exhaustive list. Causes of Acute Pancreatitis: Common Causes Gallstones (including microlithiasis) Alcohol (acute and chronic alcoholism) Hyperigleceridemia Endoscopic retrograde cholangiopancreatography (ERCP), Truama (especially blunt abdominal trauma) Postoperative (abdominal and nonabdominal operations) Drugs (azathioprine, 6-mercaptourine, sulfonamides, estrogens, tetracycline, valproic acid, anti-HIV medications) Sphincter of Oddi dysfunction Uncommon causes Vascular causes and vasculitis Connective tissue disorders Thrombotic thrombocytopenic purpura (TIT) Cancer of the pancreas Hypercalcemia Periampullary diverticulum Pancreas divisum Hereditary pancreatitis Cystic fibrosis Renal failure Rare causes Infections (mumps, coxasackievirus, cytomegalovirus, echopvirus, parasites) Autoimmune (e.g., Sjogren's syndrome) Causes to consider in patients with recurrent bouts of acute pancreatitis without an obvious etilogy Occult disease of the biliary tree or pancreatic ducts Drugs Hypertriglyceridemia Pancreas divisum Pancreatic cancer Sphincter of Oddi dysfunction Cystic fibrosis Idiopathic